In Peripartum cardiomyopathy, cardiac failure can develop anytime during
1. Anytime during antenatal period
2. Only during third trimester
3. Only during 6 weeks postpartum
4. Last month of pregnancy or within 5 months after delivery

Correct answer: 4. Last month of pregnancy or within 5 months after delivery

Explanation: Diagnostic criteria for peripartum cardiomyopathy: Development of cardiac failure in the last month of pregnancy or within 5 months after deliveryThe absence of an identifiable cause for the cardiac failure, The absence of recognizable heart disease prior to the last month of pregnancy, and Left ventricular systolic dysfunction demonstrated by classic echocardiographic criteria, such as depressed ejection fraction or fractional shortening along with a dilated left ventricle (Ref: William's Obstetrics; 25th edition)